Head quarters of FAO is at -
1. New york
2. Geneva
3. Rome
4. San francisco

Correct answer: 3. Rome

Explanation: The Food and Agriculture Organization was formed in 1945 with headquarters in Rome .It was the first United Nations Organization specialized agency created to look after several areas of world cooperation (refer pgno:923 park 23rd edition)